It is true about formalin :
1. That it can be used as preservative in alcohol poisoning
2. Never used as a preservative for chemical analysis
3. Used as a preservative in poisoning with digitals
4. None of the above

Correct answer: 2. Never used as a preservative for chemical analysis

Explanation: B i.e. Never used as a preservative for chemical analysis